Drug of choice for intraoperative right heart failure due to pulmonary hypertension
1. Dopamine
2. Isoprenaline
3. Milrinone
4. Halothane

Correct answer: 3. Milrinone